Common spinal cord tumor with intradural but extramedullary situation -a)  Meningiomab)  Neurofibromac)  Ependymomad) Astrocytoma
1. ab
2. a
3. ad
4. bc

Correct answer: 1. ab